Facial nerve palsy is seen in this condition:
1. Seborrhoeic Otitis externa
2. Otomycosis
3. Malignant Otitis externa
4. Diffuse Otitis externa

Correct answer: 3. Malignant Otitis externa

Explanation: (c) Malignant Otitis externa(Ref. Cummings, 6th ed., 2618)Among the given options Malignant Otitis externa is locally invasive infective condition and leads to facial nerve palsy. It is seen in immunocompromised patients and is caused most commonly by pseudomonas.